Cutaneous larva migrans is due to ?
1. Ankylostoma braziliensis
2. W.bancrofti
3. B. Malayi
4. D. medinensis

Correct answer: 1. Ankylostoma braziliensis

Explanation: Ans. is 'a' i.e., Ankylostoma braziliense Larva migrans . Certain nematode larvae on entering into unnatural host (e.g. man) may not be able to complete their journey through the host's tissues for localization in their normal abode. . Two different types of conditions are produced. Entering by skin penetration - Cutaneous larva migrans or creeping eruption Entering oral route - Visceral larva migrans.